Bansdola is a form of strangulation by:
1. Ligature
2. Hands
3. Wooden sticks
4. Bend of elbow

Correct answer: 3. Wooden sticks

Explanation: Ans. Wooden sticks